All of the following can worsens angina except
1. Dipyramidol
2. Oxyphedrine
3. Thyroxine
4. Sumatriptan

Correct answer: 2. Oxyphedrine

Explanation: Refer katzung 11e p283 Dipyramidole can result in coronary steal phenomenon and can worsen the angina Thyroxine is thyroid hormone and get cause tachycardia which can precipitate angina by increasing the cardiac work Sumatriptan can cause coronary vasoconstriction and can cause angina Oxyfedrine is a selective Beta 2 agonist. It is claimed to improve myocardial metabolism so that heart sustain hypoxia better